A 5 year old boy is suffering from mimimal change nephrotic syndrome. For bringing about a remission induction, the drug of choice is
1. Furosemide
2. Levamisole
3. Cyclophosphamide
4. Prednisolone

Correct answer: 4. Prednisolone

Explanation: Because of the high prevalence of minimal-change disease (MCD) in children with nephrotic syndrome, an empiric trial of corticosteroids commonly is the first step in therapy. Corticosteroids are the treatment of choice, leading to complete remission of proteinuria in most cases. Reference: GHAI Essential pediatrics, 8th edition